A 70 kg old athlete was posted for surgery, Patient was administered succinylcholine due to unavailability of vecuronium. It was administered in intermittent dosing [total 640 mgi. During recovery patient was not able to respire spontaneously & move limbs. What is the explanation-
1. Pseudocholinesterase deficiency increasing ,action of syccinylcholine
2. Phase 2 blockade produced by succinylcholine
3. Undiagnosed muscular dystrophy and muscular weakness
4. Muscular weakness due to fasciculation produced by succinylcholine

Correct answer: 2. Phase 2 blockade produced by succinylcholine